Vi polysaccharide vaccine is a parenteral vaccine consisting of purified Vi polysaccharide from the bacterial capsule. Which of the following is TRUE statement regarding Vi polysaccharide vaccine?
1. Has a high incidence of local reactions
2. Has significant adverse effects
3. Contraindicated in hepatitis
4. Can be given along with yellow fever and hepatitis vaccines

Correct answer: 4. Can be given along with yellow fever and hepatitis vaccines

Explanation: Both the oral (Ty21a) and parenteral (Vi polysaccharide) vaccines are well tolerated, and adverse reactions are uncommon and usually self-limited. Vi polysaccharide vaccine can be given with other vaccines such as Meningococcal, Hepatitis B, Tetanus, Yellow fever and Hepatitis A. There is no contraindication other than prior severe reactions to vaccine components. Ref: Daley M.F., O'Leary S.T., Simoes E.A., Nyquist A. (2011). Chapter 9. Immunization. In W.W. Hay, M.J. Levin, J.M. Sondheimer, R.R. Deterding (Eds), CURRENT Diagnosis & Treatment: Pediatrics, 20e.